Curling's ulcer common in which part of duodenum:
1. 1st part
2. 2nd part
3. 3rd part
4. Between 1st and 2nd part

Correct answer: 1. 1st part

Explanation: Ans. 1st part